Baby 'O' positive, blood group, mother Rh negative, cord bilirubin 7 mg%, conjugated 1 now treatment is -
1. Nothing
2. Stop breast feeding for 48 hours
3. Continue breast feeding and phototherapy
4. Stop breast feed and prepare for exchange blood transfusion

Correct answer: 4. Stop breast feed and prepare for exchange blood transfusion

Explanation: Ans. is 'd' I.e., Stop breast feed and prepare for exchange blood transfusion Treatment of Neonatal JaundiceIn Preterm BabyWeightPhotothegrpyExchange< 1 kgStart within 24 hourTSB 10-12 mg1- 1.5 kg7-9 mg/dl12-15 mg/dl1.5-2 kg10-12 mg/dl15-18 mg/dl2-2.5 kg13-15 mg/dl18-20 mg/dlo In hemolytic disease, immediate exchange transfusion indicationCord bilirubin is > 4.5 mg/dl and Hb < 11 gm%.Bilirubin rising > 1 mg/dlfhour despite phototherapy.Hb level 11-13 gm/dl and bilirubin rising more than 0.5 mg/dl/hour.Bilirubin is rising inspite of phototherapy.